Periodic acid schiff stain shows Block positivity in -
1. Myeloblasts
2. Lymphoblasts
3. Monoblasts
4. Megakaryoblasts

Correct answer: 2. Lymphoblasts

Explanation: Lymphoblasts Myeloperoxidase: negative Sudan Black: negative Nonspecific esterase: negative PAS: block positivity Myeloblasts Myeloperoxidase: positive sudan black: positive nonspecific esterase: positive in M4 & M5 PAS: negative Ref: RAM DAS NAYAK 2nd Ed. Pg no:293